All of the following heart sounds occur shortly after S2 except
1. Opening snap
2. Pericardial knock
3. Ejection click
4. Tumor plop

Correct answer: 3. Ejection click